Cortisol increases all of the following components, EXCEPT:
1. Platelets
2. RBC's
3. Eosinophils
4. Monocytes

Correct answer: 3. Eosinophils

Explanation: The glucocorticoids are cortisol and corticosterone. The glucocorticoids decrease the number of circulating eosinophils by increasing their sequestration in the spleen and lung. Glucocorticoids also lower the number of basophils in the circulation and increase the number of neutrophils, platelets and RBC. The typical effect of cortisol on the white and red blood cell counts in human (cells/microlitre): Cell Normal Cortisol-Treated Total WBC 9000 10000 PMNs 5760 8330 Lymphocytes 2370 1080 Eosinophils 270 20 Basophils 60 30 Monocytes 450 540 Ref: Barrett K.E., Barman S.M., Boitano S., Brooks H.L. (2012). Chapter 20. The Adrenal Medulla & Adrenal Cortex. In K.E. Barrett, S.M. Barman, S. Boitano, H.L. Brooks (Eds), Ganong's Review of Medical Physiology, 24e.